Incidence of suicide is-
1. 8-10 / 100 population
2. 8-10 / 10000 population
3. 8-10 / 1 lac population
4. 8-10 / 10 lac population

Correct answer: 3. 8-10 / 1 lac population

Explanation: C i.e. 8-10 / 1 lac population